A patient has a history of sexual intercourse with a commercial sex worker 3 days back, has developed genital discharge resembling "flow of seed". What medium should be used for culture of the discharge material?
1. Thayer Martin media
2. Mannitol salt agar
3. TCBS
4. Potassium tellurite agar

Correct answer: 1. Thayer Martin media

Explanation: Thayer martin media is used for culture of discharge material. Genital discharge resembling "flow of seed" is suggestive of gonococcal urethritis. The causative agent of gonococcal urethritis is Neisseria gonorrhoeae and the selective media used for the culture of gonococcus includes Thayer-Martin medium and modified Thayer-Martin medium. Reference: Ananthanarayan and Paniker's Textbook of Microbiology Tenth edition